Protective bacterium in normal vagina is:
1. Peptostreptococcus
2. Lactobacillus
3. Gardenella vaginalis
4. E. coli

Correct answer: 2. Lactobacillus

Explanation: Ans. B i.e. Lactobacillus